The demographic goal of Net Reproduction Rate is equal to one (NPR=1) can be achieved only if the Couple Protection Rate exceeds
1. 40%
2. 50%
3. 60%
4. 70%

Correct answer: 3. 60%

Explanation: (C) 60%[?]Couple protection rate (CPR)oCouple protection rate (CPR) is an indicator of the prevalence of contraceptive practice in the community.oIt is defined as the per cent of eligible couples effectively protected against childbirth by one or the other approved methods of family planning, viz. sterilization, IUD, condom or oral pills.oSterilization accounts for over 60 per cent of effectively protected couples.oCouple protection rate is based on the observation that 50 to 60 per cent of births in a year are of birth order 3 or more.oThus attaining a 60 per cent CPR will be equivalent to cutting off almost all third or higher order births, leaving 2 or less surviving children per couple.oTherefore, the previous National Population Policy was to attain a CPR of 42 per cent by 1990 (end of Seventh Five Year Plan), and 60 per cent by the year 2000.oHowever about 60 per cent eligible couples are still unprotected against conception.oA state-wise break-up of the figures reported indicates that while some states notably Punjab, Gujarat, Maharashtra, Karnataka, Haryana and Tamil Nadu etc. are forging ahead to cover more than half of their fertility level population by contraception.oDifferent Family Planning methods used for Acceptors of Couple Protection Rate include:-Sterilization-Vasectomy-Tubectomy-IUD insertion-Condom users-Oral Contraceptive Pill UsersoNRR = 1 can be achieved only if the CPR >60%[?]Net Reproduction Rate (NRR)oNet Reproduction Rate (NRR) is defined as the number of daughters a newborn girl will bear during her lifetime assuming fixed age-specific fertility and mortality rates.oNRR is a demographic indicator. NRR of 1 is equivalent to attaining approximately the 2-child norm.oIt is 'the number of daughters a newborn girl will bear during her lifetime assuming fixed age-specific fertility and mortality rates'.oIt is a demographic indicator.oNRR of 1 is equivalent to attaining approximately the 2-child norm. If the NRR is less than 1, then the reproductive performance of the population is said to be below replacement level.oThe average number of Daughters a women would bear in her life if she experiences the age-specific fertility (fro daughters) prevailing at the study period, & if her daughters experienced the prevailing rates of mortality.oIf the age schedules of both fertility & mortality remain constant, the Net Reproduction Rate would be a measure of generational Replacement.oE.g.-NRR =1.1 - Next generation will be 10% larger than the present generation (growth)-NRR =1.0 - Next generation will be the same as the present generation (replacement level)-NPR =0.9 - next generation will be 10% smaller than the present generation (depopulation)[?]Net Reproduction Rate, Pros & Cons.oPros-Taking into account both fertility & survival in getting one indicator of reproductivity of a PopulationoCons-Requires detailed data on fertility & survival of women, up to age 50 years-Does not take into account that women born in different years may have different fertility & survival.